Tumour invodes corpus spongiosum with or without urethral invasion, belong to which stage of carcinoma penis?
1. T1
2. T2
3. T3
4. T4

Correct answer: 2. T2

Explanation: T2 : Tumour > 5 cm or incodes corpus spongiosum, cavernosum with or without urethral invasion.